Which of the following is used to differentiate race in seminal stains?
1. Serum alkaline phosphatase
2. MHS 5
3. Peptidase A
4. Choline

Correct answer: 3. Peptidase A

Explanation: Enzyme Typing: Enzyme markers commonly used in genetic profiling of semen are phosphoglutamase (PGM) and peptidase (Pep A). Pep A is polymorphic in many racial groups and is commonly employed as a racial discriminator. PGM is polymorphic in all populations and can be subdivided into 10 distinct subgroups.